Inverted fir tree appearance is characteristic ?
1. Bacillus anthrax
2. Hemophilus influenzae
3. Yersinia pestis
4. Brucella

Correct answer: 1. Bacillus anthrax

Explanation: Ans. is 'a' i.e., Bacillus anthrax